Tylectomy literally means?
1. Excision of a lump
2. Excision of LN
3. Excision of breast
4. Excision of skin

Correct answer: 1. Excision of a lump

Explanation: Ans. is 'a' i.e. Excision of a lump